ADCC is seen with which of the following cells
1. T cells
2. B cells
3. NK cells
4. Neutrophils

Correct answer: 3. NK cells

Explanation: ADCC:ANTIBODY DEPENDENT CELLULAR CYTOTOXICITY